Increased permeability in acute inflammation is due to -
1. Histamine
2. IL-2
3. TGF-b
4. FGF

Correct answer: 1. Histamine

Explanation: Robbins basic pathology 9th edition page no 34 Endothelial cell contraction leading to ntercellular gaps in postcapillary venules is the most common cause of increased vascular permeability. Endothelial injury occurs rapidly after the binding of histamine, bradykinin, leukotiens, and many other mediators to specific receptors.